HLA complex in man is located on chromosome:
1. 4
2. 6
3. 8
4. 10Widal test

Correct answer: 2. 6

Explanation: Ans. B i.e. 6